A 25-year-old person developed right corneal opacity following injury to the eye. Comeoplasty of right eye was done and vision was restored. Medico-legally such injury is:
1. Grievous
2. Simple
3. Dangerous
4. Serious

Correct answer: 1. Grievous

Explanation: Ans. Grievous